Flask shaped heart is seen in -
1. Ebstein anomaly
2. Pericardial effusion
3. TOF
4. TAPVC

Correct answer: 2. Pericardial effusion

Explanation: Flask shaped heart / Pear shaped / Money shaped heart is seen in Pericardial effusion. Boot shaped / Coer-en-sabot heart is seen in TOF. Snowman heart / Figure of 8 appearance is seen in TAPVC. Pulmonary oligemia is an xray finding of Ebsteins anamoly.